Most common type of carcinoma lung is-
1. Small cell carcinoma
2. Adenocarcinoma
3. Squamous cell carcinoma
4. Large cell carcinoma

Correct answer: 2. Adenocarcinoma

Explanation: Ref:Textbook of pathology (Harsh mohan) 6th edition,page no.500 Adenocarcinoma: Adenocarcinoma, also called peripheral carcinoma due to its location and scar carcinoma due to its association with areas of chronic scarring,is the most common bronchogenic carcinoma in women and isslow-growing. Recent estimates on adenocarcinoma place this as the most frequent histologic subtype of lung cancer. Adenocarcinoma is further subclassified into 4 types: i) Acinar adenocarcinoma which has predominance of glandular structure and often occurs in the larger bronchi. ii) Papillary adenocarcinoma which has a pronounced papillary configuration and is frequently peripherally located in the lungs and is found in relation to pulmonary scars (scar carcinoma). iii) Bronchiolo-alveolar carcinoma is characterised by cuboidal to tall columnar and mucus-secreting epithelial cells growing along the existing alveoli and forming numerous papillary structures. Ultrastructurally, these tumour cells resemble Clara cells or less often type II pneumocytes. iv) Solid carcinoma is a poorly-differentiated adenocarcinoma lacking acini, tubules or papillae but having mucuscontaining vacuoles in many tumour cells.